In secondary syphilis, true about rash is –
1. Pruritic
2. Vesicular
3. Asymptomatic
4. Tender

Correct answer: 3. Asymptomatic

Explanation: Initial lesion of secondary syphilis is characterized by macules which are : 

i) Non-pruritic (asymptomatic)        
ii) Bilateral symmetrical